What is the metabolic abnormalities sign in congenital hypertrophic pyloric stenosis
1. Hyperkalemic metabolic alkalosis
2. Hypokalemic metabolic alkalosis
3. Hypokalemic metabolic acidosis
4. Hyperkalemic metabolic acidosis

Correct answer: 2. Hypokalemic metabolic alkalosis

Explanation: It will cause hypokalemic hypochloremic metabolic alkalosis with aciduria